In a solution the concentration of hydrogen ion (H+) is 1 x 10-6 moles/litre. The pH of the solution will be -
1. Three
2. Six
3. Nine
4. Twelve

Correct answer: 2. Six

Explanation: pH is the negative log of the hydrogen ion concentration